Multiple strictures in intestine are found in:
1. Radiation enteritis
2. Duodenal ulcer
3. Ulcerative colitis
4. Gastric erosion

Correct answer: 1. Radiation enteritis

Explanation: Ans. (a) Radiation enteritisRef: Sabiston 19th edition, Pages 1273-1274* Multiple and long strictures are more characteristic of radiation enteritis